Not a radiological finding of scurvy
1. Palkan spur
2. Pencil - thin cortex
3. Wimburger sign
4. Fraying of metaphysis

Correct answer: 4. Fraying of metaphysis

Explanation: Fraying is seen in Rickets.